All of the following are morphological features of Apoptosis except
1. Cell shrinkage
2. Chromatin condensation
3. Inflammation
4. Apoptotic bodies

Correct answer: 3. Inflammation

Explanation: Ref Robbins 7/e p27; 9/e p56 Apoptosis is a pathway of cell death in which cells activate enzymes that degrade the cells' own nuclear DNA and nuclear and cytoplasmic proteins. Fragments of the apoptotic cells then break off, giving the appearance that is responsible for the name (apoptosis, "falling off"). The plasma membrane of the apoptotic cell remains intact, but the membrane is altered in such a way that the cell and its fragments become avid targets for phagocytes. The dead cell and its fragments are rapidly cleared before cellular contents have leaked out, so apoptotic cell death does not elicit an inflammatory reac- tion in the host. Apoptosis differs in this respect from necro- sis, which is characterized by loss of membrane integrity, enzymatic digestion of cells, leakage of cellular contents, and frequently a host reaction (Fig. 1-6 and Table 1-1). However, apoptosis and necrosis sometimes coexist, and apoptosis induced by some pathologic stimuli may proA gress to necrosis.